Heart failure cells are
1. Foam cells
2. Lipid laden macrophages
3. Hemosiderin laden macrophages
4. Type 1 pneumocytes

Correct answer: 3. Hemosiderin laden macrophages

Explanation: Ans. (c) Hemosiderin laden macrophages(Ref: Robbin's 9th/pg 115)Chronic pulmonary congestion: shows Hemosiderinladen macrophages (heart failure cells) Q